Subacute sclerosing pan-encephalitis is associated with -
1. Mumps
2. Measles
3. Rubella
4. Typhoid

Correct answer: 2. Measles

Explanation: Ans. is 'b' i.e., Measles